Hypothyroidism is associated with deficiency of
1. Iron
2. Iodine
3. Zinc
4. Fluorine

Correct answer: 2. Iodine

Explanation: Ans. (b) Iodine* Iodine deficiency leads to hypothyroidism which manifests as goiter.* Due to hypothyroidism, thyroid cells try to compensate it by hyperplasia and hypertrophy of thyroid gland cells (goiter).* Iron deficiency leads to Microcytic anemia (IDA).* Zinc deficiency may manifest with acrodermatitis enteropathica.* Fluorine deficiency/excess manifests with dental caries.Also KnowOptimum level of fluorine in drining water: -0.5 - 0.8 mg per litre.